A thirty one year old male with neprhrotic syndrome complains of pain in right hip joint of 2 months duration. The movements at the hip are free but painful terminally. The most likely diagnosis is -
1. Tuberculosis of hip
2. Avascular necrosis of femoral head
3. Chondrolysis of hip
4. Pathological fracture of femoral neck

Correct answer: 2. Avascular necrosis of femoral head

Explanation: This patient has : - 


Nephrotic syndrome (must be taking steroids)
Pain in hip
Terminal restriction of movements (in AVN, initially movements are restricted terminally only).


The diagnosis is AVN of Hip.
In all other three options movements of hip are grossly restricted (not terminally).